Coaptation is
1. Urethral mucosal approximation.
2. Adaptation of bladder to large volumes of filtrate.
3. Stretch of urethra while voiding.
4. Constriction of ureters in response to low volumes of urine.

Correct answer: 1. Urethral mucosal approximation.

Explanation: Submucosal vascular network aids in Urethral mucosal approximation called as coaptation, which improves continence.